In post trabeculectomy, shallow anterior chamber with increased IOP is due to all except
1. Choroidal detachment
2. Suprachoroidal hemorrhage
3. Pupillary block
4. Malignant glaucoma

Correct answer: 1. Choroidal detachment

Explanation: Among glaucoma patients, older age and lower postoperative IOP are risk factors for choroidal detachment after trabeculectomy with MMC. In eyes with open angle glaucoma, older age and lower postoperative IOP are risk factors for choroidal detachment after trabeculectomy with MMC. Ref khurana 6/e